Microorganism used as weap-on in biological terrorism is -
1. Smallpox virus
2. Rabies virus
3. Influenzae virus
4. Human narvovirus

Correct answer: 1. Smallpox virus